A 50-year-old man is brought to the emergency department by ambulance. His respirations are shallow and infrequent, his pupils are constricted, and he is stuporous. He was noted to have suffered a grandmal seizure in the ambulance. Which of the following drugs is this man likely to have overdosed on?
1. Cocaine
2. LSD
3. Meperidine
4. PCP

Correct answer: 3. Meperidine

Explanation: Severe opiate intoxication is associated with respiratory depression, stupor or coma, and sometimes pulmonary edema. Less severe intoxication is associated with slurred speech; drowsiness, and impaired memory or attention. Early on, the pupils are constricted, but they dilate if the patient becomes 'anoxic due to the respiratory depression. BP is typically. Meperidine intoxication in a chronic user is often complicated by delirium or seizures due to the accumulation of nor meperidine, a toxic metabolite with cerebral irritant properties.